Normal anionic gap is seen in one of thefollowing-
1. Diarrhoea
2. Uremia
3. Lactic acidosis
4. Ketosis

Correct answer: 1. Diarrhoea

Explanation: Eg for normal anion gap : diarrhea, pancreatic fistula, antacid drugs, Renal tubular acidosis, Renal failure, Ref: Harrison's 19thE